Drug induced lupus antibodies are-
1. Anti-Rho
2. Ds-DNA
3. Anti-Sm
4. Anti-histone antibody

Correct answer: 4. Anti-histone antibody

Explanation: harshmohan textbook of pathology 7th edition. *anti histone antibody which is antibody against histone associated with DNA in chromatin is seen particularly in cases of drug infused lupus than in SLE